A 45 years old patient has abnormal uterine bleeding with mild atypical hyperplasia of endometrium. The treatment of choice is :
1. OCP
2. Progesterone
3. Total hysterectomy
4. Estrogen

Correct answer: 3. Total hysterectomy

Explanation: Ans. is c i.e. Total hysterectomy Presence of DUB with mild atypical hyperplasia in a 42 years old patient is an indication of hystrectomy. Friends always remember-"Hysterectomy is the best treatment for women at any age with atynica! enrfnmetrial hyperplasia because the risk of concurrent subclinical invasive disease is high." ..